Cryptomenorrhea is seen in:
1. Asherman's syndrome
2. Testicular feminizing syndrome
3. Imperforate hymen
4. Uterine agenesis

Correct answer: 3. Imperforate hymen

Explanation: Ans. C. Imperforate hymenCryptomenorrhea means monthly subjective symptoms of menstruation without flow of blood and may be caused by an imperforate hymen. Crypt literally means hidden- Thus cryptomenorrhea means hidden menorrhea.